Reactionary Hemorrhage occurs due to -
1. Dislodgement of clot
2. Infection
3. Damage to a blood vessel
4. Pressure necrosis

Correct answer: 1. Dislodgement of clot

Explanation: Ans. is 'a' i.e., Dislodgement of clot PrimaryReactionarySecondaryImmediate post op< 24 hours7-14 daysDue to surgery itselfDislodgement of clotPrssure necrosis Ligature slipInfection Noramlisation of BP and vasodilation